Normal pO2 in venous blood is:
1. 40 mmHg
2. 60 mmHg
3. 80 mmHg
4. 95 mmHg

Correct answer: 1. 40 mmHg

Explanation: pO2 of the arterial blood = 95 mmHg pO2 of venous blood = 40 mmHg pCO2 of the arterial blood = 40 mmHg pCO2 of venous blood = 45 mmHg